Mutation in malignant melanoma-
1. N-myc
2. CDK2A
3. RET
4. None

Correct answer: 2. CDK2A

Explanation: Ans. is 'b' i.e., CDK2A "In melanoma cells, numbers of mutations and/or dysregulated expression of B-Rof, N-Ras, CDK2A, MDM2, PTEN, p53 have been recognized". --Textbook of carcinogenesis